Magnification obtained with direct ophthalmoscope for an emmetropic patient is:
1. 5 times
2. 10 times
3. 15 times
4. 20 times

Correct answer: 3. 15 times

Explanation: Ans. (c) 15 timesRef: Parson's, 19/e, p. 135Magnification obtained with direct ophthalmoscope* In emmetropes is about 15 times and* Least magnified is seen in hypermetropes,* Most magnified is seen in myopes.